To cure a heat cure resin, a proper heating cycle is necessary:
1. To prevent the porosity
2. To prevent warpage
3. To prevent volume expansion
4. All of the above

Correct answer: 1. To prevent the porosity